Multifocal tumor of vascular origin in a patient of AIDS-
1. Kaposi's sarcoma
2. Astrocytoma
3. Gastric Carcinoma
4. Primary CNS lymphoma

Correct answer: 1. Kaposi's sarcoma